Parotid duct opens -
1. Opposite 1st molar
2. Opposite 2nd molar
3. Into the papilla
4. Opposite incisor

Correct answer: 2. Opposite 2nd molar

Explanation: Parotid duct opens opposite the 2nd upper molor tooth.